The formative cells of which of the following dental tissues disappear once tissue is formed
1. Enamel
2. Dentin
3. Periodontal ligament
4. Cementum

Correct answer: 1. Enamel

Explanation: When the enamel has fully developed, the ameloblasts cease to be arranged in a well-defined layer and is transformed to reduced enamel epithelium. The function of reduced enamel epithelium is protecting the mature enamel by separating it from the connective tissue until the tooth erupts. Premature degeneration of the reduced enamel epithelium may prevent the eruption of a tooth.